All of the following are true about connexons, EXCEPT:
1. It is a protein
2. Has five subunits
3. Gap junction unit
4. Charcot marie tooth disease

Correct answer: 2. Has five subunits

Explanation: Connexons is an assembly of six proteins called connexins. It is a unit of gap junction, helps substances to pass between cells without entering the extracellular fluid. Charcot marie tooth disease, its X linked form is said to be linked to mutant connexons. Ref: Ganong's Review of Medical Physiology, 21st Edition, Page 17